Which is the drug of choice in Paget's disease?
1. Alendronate
2. Steroids
3. Allopurinol
4. Calcitonin

Correct answer: 1. Alendronate

Explanation: Treatment of Paget's disease Mithramycin (Plicamycin), an anti-neoplastic agent (toxic to osteoclast) was the first drug used for paget's disease. DOC is Bisphosphonates - Etidronate was used first, Alendronate , Risedronate is preferred now. Calcitonin is used for acute relief of pain(temporary effect).